True about scrub typhus-
1. No eschar
2. Transmitted by bite of mites
3. Caused by R typhi
4. No transovarial transmission

Correct answer: 2. Transmitted by bite of mites

Explanation: Ans. is 'b' i.e., Transmitted by bite of mitesScrub typhus* Scrub typhus is the most widespread Rickettsial disease.* It is caused by R. tsutsugamushi (orientia tsutsugamushi) and the vector of its transmission is trombiculid mite (Leptotrombidium delineseand L. akamushi).* It is transmitted to man by the bite of infected larval mites.* The nymphal and adult stages of the mite are free living in the soil; they do not feed on vertebrate host. It is the larva (chigger) that feed on vertebrate hosts and picks up the rickettsiae.* The infection is maintained in nature trans-ovarially from one generation of mite to next.* Clinical features include fever, headache, lymphadenopathy and rash with eschar.